Tumor seen in Barret's Esophagus
1. Adenocarcinoma
2. Squamous cell cancer
3. Melanoma
4. Basal Cell Carcinoma

Correct answer: 1. Adenocarcinoma

Explanation: Ans. (a) AdenocarcinomaRef: Surgery Sixer 3rd Edition Page 330Predisposing factors of Esophageal Adenocarcinoma:* GERD* Barret's Esophagus* Obesity* Scleroderma* High Protein Diet and Fat Diet* SmokingNote: H. pylori producing cag -A toxin is protective against Adenocarcinoma of Esophagus